Which of the following is a flocculation test ?
1. Widal test
2. Weil- felix test
3. VDRL
4. Paul- Bunnel test

Correct answer: 3. VDRL

Explanation: Ans. is 'c' i.e., VDRL When instead of sedimenting, the precipitate remains suspended asfloccules, the reaction is known as flocculation ( instead of precipitation) Examples -) VDRL slide flocculation test and Kahn tube flocculation test for syphilis.